The enzyme used for the mapping of hypersensitive sites in recombinant DNA research is?
1. DNA ligase
2. DNA polymerase I
3. DNase I
4. Polynucleotide kinase

Correct answer: 3. DNase I

Explanation: Ans. C. DNase Ia. DNA ligase is used for joining of DNA molecules.b. DNA polymerase I is used for synthesis of double stranded cDNA.c. Polynucleotide kinase is used for T-32 end labeling of DNA or RNA.